Transmural inflammation with skip lesions in colon are characteristic of -
1. Regional ileitis (Crohn's disease)
2. Ischemic colitis
3. Ulcerative colitis
4. Non specific colitis

Correct answer: 1. Regional ileitis (Crohn's disease)